Most common symptom of alcohol withdrawal is:
1. Bodyache
2. Tremor
3. Diarrhoea
4. Rhinorrheo

Correct answer: 2. Tremor

Explanation: B ie. Tremor